A patient was admitted with symptoms of bowel obstruction. Further examination revealed that the obstruction was caused by the nutcracker-like compression of the bowel between the superior mesenteric artery and the aorta. The compressed bowel is MOST likely to be:
1. Duodenum
2. Jejunum
3. Ileum
4. Ascending colon

Correct answer: 1. Duodenum

Explanation: The superior mesenteric artery crosses over the third part of the duodenum, and the aorta is posterior to the third part of the duodenum. If something causes these vessels to become enlarged, they can crush the duodenum, and food will not be able to pass through the duodenum. This is often called the "nutcracker effect", and it is only seen in the third part of the duodenum.